Which of the following condition is treated by laser-assisted uvulopalatoplasty?
1. Snoring
2. Pharyngotonsillitis
3. Cleft palate
4. Stammering

Correct answer: 1. Snoring

Explanation: Laser uvulopalatoplasty (LAUP) is the treatment for snoring. In LAUP, the redundant soft tissue is either excised or ablated. It helps to avoid most of the postoperative morbidity, as well as providing a good hemostatic benefit during surgery. The CO2 laser is the laser most commonly used by otolaryngologists for this operation.